A child is admitted to the pediatric unit with a diagnosis of suspected meningococcal meningitis. Which of the following nursing measures should the nurse do FIRST?
1. Institute seizure precautions
2. Assess neurologic status
3. Place in respiratory isolation
4. Assess vital signs

Correct answer: 3. Place in respiratory isolation

Explanation: The initial therapeutic management of acute bacterial meningitis includes isolation precautions, initiation of antimicrobial therapy and maintenance of optimum hydration.
Nurses should take necessary precautions to protect themselves and others from possible infection.